Addition of synthetic resins to zinc oxide eugenol cement is said to
1. Increase the strength
2. Reduce solubility
3. Reduce film thickness
4. None of the above

Correct answer: 1. Increase the strength